A patient is suspected to have vestibular schwannoma the investigation of choice for its diagnosis is:
1. Contrast enhanced CT scan
2. Gadolinium enhanced MRI
3. SPECT
4. PET scan

Correct answer: 2. Gadolinium enhanced MRI

Explanation: Ans. B (Gadolinium enhanced MRI) Vestibular schwannoma (VS) - arise from inferior vestibular division of eight nerve as from the auditory division a. MRI with gadolinium is the current standard for screening for suspected vestibular schwannomas because of the high false negative rate associated with BSERA Treatment Under 65 years - small intracranial tumors (within the internal auditory canal) may be surgically removed through the transmastoid labyrinthine route a. Larges tumors (> 3 cm) are associated with increased incidence of hearing loss, dysequilibrium, headache facial numbness, and diplopia are removed a suboccipital craniotomy b. Huge ones can only be removed combined suboccipital and translabyrinthine approach Over age 65 with slowly growing tumors, observation is the proffered treatment.